Loss of several teeth may result in:
1. Change in facial contour.
2. Periodontal disturbances.
3. TMJ disturbances.
4. All of the above.

Correct answer: 4. All of the above.